One of the following in high doses can cause convulsions ?
1. Penicillin
2. Aminoglycosides
3. Erythromycin
4. All

Correct answer: 1. Penicillin

Explanation: Ans. is 'a' i.e., Penicillin Drugs causing seizures o Lactam antibiotics o Local anaesthetics o Quinolones o Cyclosporine o Acyclovir & Ganciclovir o OKT3 o Isoniazid o Tacrolimus o Meperidine o Interferons o Tramadol o Antidepressants o Antipsychotics o Lithium o Theophylline o Alcohol withdrawl o Barbiturate withdrawl o Benzodiazepine withdrawl